Light orthodontic forces produce
1. Light forces will not have any effect
2. Brings up osteoclasts with 10 seconds
3. Compression of blood vessel within 3-5 seconds on the pressure side
4. Compression of blood vessel in 2 hours on the tension side

Correct answer: 3. Compression of blood vessel within 3-5 seconds on the pressure side